Pyramidalis is supplied by
1. Subcostal nerve
2. Ilioinguinal nerve
3. Iliohypogastric nerve
4. Genitofemoral nerve

Correct answer: 1. Subcostal nerve

Explanation: The pyramidalis is a small and triangular muscle, anterior to the rectus abdominis, and contained in the rectus sheath. The muscle is innervated by the ventral portion of T12. Anterior division of the twelfth thoracic nerve (subcostal nerve) communicates with the iliohypogastric nerve of the lumbar plexus and gives a branch to the Pyramidalis. Ref - semantischolar.org